Weakest portion of sclera is
1. Limbus
2. Quator
3. Anterior to attachment of superior rectus
4. Behind rectus insertion

Correct answer: 4. Behind rectus insertion

Explanation: D i.e. Behind rectus insertion The sclera is thickest (1mm) at the posterior pole near the optic nerveQ and thinnest (0.3mm) just behind the insertion of rectus muscleQ.